Van Nuys grading system is used for?
1. LCIS
2. DCIS
3. Inflammatory carcinoma breast
4. Medullary carcinoma breast

Correct answer: 2. DCIS

Explanation: Answer- B. DCISVan Nuys prognostic index is widely used to classify ductal carcinoma in situ (DCIS) into dissimilar risk categories that may be treated accordingly.